Valley fever or desert rheumatism is caused by?
1. Sporothrix
2. Coccidioides
3. Phialophora
4. Histoplasma

Correct answer: 2. Coccidioides

Explanation: Coccidioidomycosis (also called desert rheumatism or San Joaquin Valley fever or California fever) - A systemic fungal disease caused by a dimorphic soil dwelling fungus - Coccidioides Sporotrichosis or Rose Gardner's disease is chronic subcutaneous pyogranulomatous disease caused by a thermally dimorphic fungus Sporothrix schenckii. Chromoblastomycosis is a slowly progressing granulomatous infection caused by several soil fungi. These are Fonsecaea pedrosoi, Fonsecaea compactum, Cladosporium carrionii, and Phialophora verrucosa. Histoplasmosis or Darling's disease is caused by dimorphic fungus-Histoplasma capsulatum.